Which of the following is the established biological therapy for Crohn's disease -
1. Anti TNF a-antibody
2. IL-1 antagonist
3. IL-6 antagonist
4. IL-8 antagonist

Correct answer: 1. Anti TNF a-antibody

Explanation: Ans. is 'a' i.e., Anti TNF a antibody Biological compoundsAgents which are derived from natural substances and are then chemically altered. The biological compound that has been approved for use in Crohn's colitis by FDA is - Infliximab.Infliximab is a chimeric antibody consisting of the variable region of a murine antibody to TNF-a joined to the Fc (constant) region of a human antibody.Mechanism of action of Infliximab - Inhibits Tumour Necrosis Factor a or b.UsesIt has been approved by FDA for use inRheumatoid arthritisCrohn's colitisAn important adverse effect of infliximab use is - TuberculosisCurrent status of development of Immunomodulatory drugDrugMechanism of actionUses* Adalimumab (Fully humanized Mab)Inhibits TNF-aRheumatoid arthritis* Etanercept (Recombinant TNF receptor Ig fusion protein)Inhibits TNF-aRheumatoid arthritis Juvenile Rheumatoid arthritis Psoriasis* Anakinra (Recombinant IL-1 receptor antagonist)Inhibit IL-1a & bRheumatoid arthritis * Anti-CD3,T cell monoclonal antibodyInhibit T cell function, Induce T cell lymphopeniaT/T of cardiac and renal allograft rejection* IVIgReticuloendothelial cell blockage, Complement inhibition, Regulation of idiotype/antidio typeKawasaki's disease Immune thrombocytopenic purpura Remember these important points* IL-12-It is under trial for t/t of mycobacterial infections. Trials are also underway for use in cancer patients.* IL-2-In trial for t/t of HIV infection* IL-11-In trial for Crohn's colitis